All are true about typhoid ulcer except
1. Mainly affects ileum
2. Multiple ulcer and transverse
3. Perforation occurs at 3rd wrek
4. Perforation treated by surgery

Correct answer: 2. Multiple ulcer and transverse

Explanation: Refer Robbins page no Pg 9/e 789 Clinical features Classic features are fever, abdominal pain and hematochezia First week of illness: rising ("stepwise") fever associated with chills, although frank rigors are rare Also relative bradycardia or pulse-temperature dissociation is common Second week of illness: abdominal pain develops and "rose spots" (faint salmon- colored macules on the trunk and abdomen) may be seen Third week of illness: hepatosplenomegaly, intestinal bleeding and perforation due to ileocecal lymphatic hyperplasia of the Peyer's patches may occur, together with secondary bacteremia and peritonitis ( Perforation is four times more common in males than females (Chronic Salmonella carriage is defined as excretion of the organism in stool or urine >12 months after acute infection Diagnosis Classical clinical features above Typhoid fever is diagnosed by blood or stool culture Bone marrow culture is the most sensitive test available ( 1975; 1:1211), as it remains positive even after 5 days of antibiotic therapy.